Which of the following finding is MOST compatible with sudden rhythm disturbance and cessation of the action of the heart?
1. Light lung ( 300 gm)
2. Heavy lung (450 - 500 gm)
3. Both
4. None

Correct answer: 1. Light lung ( 300 gm)

Explanation: The light lungs are more compatible with sudden rhythm disturbance and cessation of action of heart. The heavier lung (450 - 500 gms or more) indicates cessation of respiration with continuation of the heart beat for several minutes. Ref: Textbook of Forensic Medicine and Toxicology by Narayan Reddy, Edition 21, Page - 115.